Anatomical wastes are discarded in bag with color-
1. Red
2. Yellow
3. Black
4. Blue

Correct answer: 2. Yellow

Explanation: - human anatomical wastes including human tissues , organs and body parts comes under category no.1. - category no 1 wastes are discarded in yellow colour plastic bag. Reference: Park's textbook of preventive and social medicine, 23rd edition, pg no: 793,794